Hyperkalemia with no ECG finding. The drug that should not be used is -
1. Sodium bicarbonate
2. Calcium gluconate
3. Glucose with insulin
4. Resins

Correct answer: 2. Calcium gluconate

Explanation: calcium gluconate immediately antagonises the cardiac effects of hyperkalemia, whereas the others are used to correct hyperkalemia. (reference : harrisons principles of internal medicine,19E page- 312)